Bamboo-spine is seen in:
1. Ankylosing-spondylitis
2. Rheumatoid arthritis
3. Paget's disease
4. All

Correct answer: 1. Ankylosing-spondylitis

Explanation: Ans. a (Ankylosing-spondylitis). (Ref: Sutton Radiology, 6th/pg. l220, Harrison, Medicine, 18th/84,1949)ANKYLOSING-SPONDYLITIS (Marie-Strumple disease or Beschtrew disease)# Bamboo-spine (knobly spine, poker back or universal syndesmophytosis) is a characteristic feature of ankylosing spondylitis.# Syndesmophytes are gracile ossifications of the outer fibres of annulus fibrosus.- They are marginal, delicate; vertically oriented extending from edge or margin of one vertebral body to that of other.# Syndesmophytes should be differentiated from the parasyndesmophytes or the paravertebral ossifications seen in psoriatic arthritis or Reiter's disease by which although vertically oriented are thicker, denser, non-marginal extending from mid-body to mid-body, larger, coarse and may effect any part of spine to start with without proper order.# Shiny corner sign, Romano's lesionf Anderson's lesions, trotty-track sign & drager sign are also described in spine.# Other diagnostic radiological features of ankylosing spondylitis are:- Bilateral symmetrical sacroilitis (most specific).- Enthesitis (earliest pathological change).- Uncommon involvement of small joints of hand and feet.OPLL (Ossified posterior longitudinal ligament)# Japanese disease# Best evaluated with CT (for ossification) and MRI (for evaluation of cord)# Likely to progress to myelopathy with canal compromise of 60% and sagittal canal diameter of 8mm# Cervical spine involvement is most common# Advanced cases of OPLL are easily recognized on routine radiographyDISH (Diffuse idiopathic skeletal hypertrophy)# Diffuse idiopathic skeletal hyperostosis (DISH) (hyperostotic spondylosis, Forestier's disease) is a multifocal entity of older people characterized by 'flowing' ossifications of the spine involving four or more contiguous vertebrae and hyperostosis of some ligamentous attachments.